Atropine causes:
1. Bradycardia
2. Tachycardia
3. Aggravation of heart block
4. Decreased vasomotor tone

Correct answer: 2. Tachycardia

Explanation: Ans: b (Tachycardia) Ref: KDT, 6th ed, p. 107The most prominent action of atropine on heart is tachycardia due to the blockade of M receptors on the S A node through which vagal tone decreases heart rate.Other effects of atropine are:CNS: Overall stimulant action,rise in body temperature due to action on hypothalamusCVS: Tachycardia, no marked effect on BPGIT: Decreases intestinal motility by GI smooth muscle relaxationRESP: Bronchodilatation and reduced airway resistanceURINARY: Relaxes bladder and causes urinary retentionEYE: Local anesthetic action on cornea. Mydriasis, Cycloplegia, Abolition of light refelexGLANDS: Decreases lacrimation, Sweating, Salivation by M blockade